Parathyroid autotransplantation is done in which of the following muscle?
1. Brachioradials
2. Biceps
3. Triceps
4. Sartorius

Correct answer: 1. Brachioradials

Explanation: Parathyroid auto transplantation is done in 2 muscles Sternocleidomastoid muscle Brachioradialis of non-dominant hand SCM Brachioradialis Indication: Accidental removal of PT gland while performing a thyroidectomy. | A small amount of the PT gland is auto-transplanted into SCM muscle. Indication: Hyperparathyroidism due to parathyroid adenoma (or) Parathyroid hyperplasia. | A sub-total parathyroidectomy is performed and a small amount of PT gland is implanted into brachioradialis muscle of non-dominated hand. Transplanted site is marked with silk suture or clip for easy identification